What is the risk of an affected individual transmitting an autosomal dominant disease to his/her offspring?
1. 50%
2. 100%
3. 25%
4. 60%

Correct answer: 1. 50%

Explanation: a. 50%(Ref: Nelson's 20/e p 593, Ghai 8/e p 641)